A patient with mild skin pigmentation comes to you because of sudden abdominal pain, fever and a rigid abdomen. Her lab report show blood sugar of 55, Na of 119, and K of 6.2. Her BP is 88/58. She undergoes an exploratory laparotomy. Which of the following statement is true?
1. Treatment with exogenous steroids is usually ineffective
2. This condition is commonly seen as a consequence of metastasis of distant cancers, such as lung or breast to the a al glands
3. Death from untreated chronic adrenal insufficiency may occur within hours of surgery
4. The most common underlying cause today is infection with MDR tuberculosis

Correct answer: 3. Death from untreated chronic adrenal insufficiency may occur within hours of surgery

Explanation: Failure to recognize adrenal cortical insufficiency, particularly in the postoperative patient, may be a fatal error that is especially regrettable because therapy (exogenous steroids) is effective and easy to administer. Adrenal insufficiency may occur in a host of settings including tuberculosis (formerly the most common cause), autoimmune states" severe infections, (classically, meningococcal septicemia), pituitary insufficiency, after burns, during anticoagulant therapy, and-most commonly today-after interruption of chronically ,administered exogenous steroids. Although the adrenal gland is an occasional site for distant metastases, such as from lung or breast, it is rare for there to be enough destruction of the glands to produce clinical adrenal insufficiency Chronic adrenal insufficiency (classic Addison's disease) should be recognizable preoperatively by the constellation of skin igmentation, weakness, weight loss, hypotension, nausea, vomiting, abdominal paib hypoglycemia, hyponatremia, and hyperkalemia. ' Death may occur within hours of surgery if a patient with Addison's disease is operated on without cognizance of adrenal insufficiency and pretreatment with exogenous steroids. Patients who have adrenal insufficiency as a result of interruption of chronically administered exogenous steroids may not develop the classic electrolyte abnormalities until the preterminal period. Adrenal insufficiency may also develop insidiously in the postoperative period, progressing over a course of several days. This insidious course is seen when adrenal injury occurs in the perioperative period, as would be the case with adrenal damage from hemorrhage into the gland in a patient receiving postoperative anticoagulant therapy Measurement of blood corticosteroid levels, urinary corticosteroid secretion, urinary sodium levels, and response to exogenous steroids is helpful in establishing the diagnosis of adrenal insufficiency